Formed visual hallucinations are seen due to damage to:
1. Temporal lobe
2. Parietal lobe
3. Occipital lobe
4. Frontal lobe

Correct answer: 1. Temporal lobe

Explanation: Temporal lobe